Which of the following shows deposition of IgA in dermal papilla -
1. Dermatitis herpetiformis
2. IgA papillomatosis of childhood
3. Bullous pemphigoid
4. Gestational herpes

Correct answer: 1. Dermatitis herpetiformis

Explanation: Ans. is 'a' i.e., Dermatitis herpetiformis Immunopathological appearance of vesicobullous disorders* Bullous pemphigoid-Linear band of IgG or C3 in epidermal basement membrane* Pemphigus vulgaris-Cell surface deposits of IgG on keratinocytes* Pemphigus foliaceous-Cell surface deposits of IgG on keratinocytes* Pemphigoid gestationis-Linear band of C3 in epidermal basement membrane zone* Dermatitis herpetiformis-Granular deposits of IgA in dermal papillae* Chronic bullous disease of childhood-IgA deposits along the dermoepidermal junction* Linear IgA dermatosis of adults-Linear deposits of IgA at dermoepidermal junction